Regarding ritonavir use in AIDS patient, which of the following is/are true ? a) Interacts with terfenadine b) G.I. symptoms are seen c) Contraindicated in renal failure d) It is NNRTI e) Should not be used in AIDS patient with bleeding disorder
1. ac
2. ad
3. ab
4. c

Correct answer: 3. ab